True statements about sepsis and septic shock
1. It is commonest cause of death in surgical patients.
2. Main treatment is - infection site
3. Leads to organ dysfunction
4. All of the above

Correct answer: 4. All of the above